Which of the following is not a postmortem change:
1. Algor mortis
2. Rigor mortis
3. Atria mortis
4. Livor mortis

Correct answer: 3. Atria mortis

Explanation: Ans. Atria mortis